Acute diffuse proliferative glomerulonephritis will have all of the following features, except -
1. Microscopic haematuria
2. Raised blood urea level
3. Raised serum creatinine level
4. Hypoalbuminemia

Correct answer: 4. Hypoalbuminemia

Explanation: Diffuse proliferative glomerulonephritis is characterized by nephritic syndrome whereas hypoalbuminemia is a feature of Nephrotic syndrome.

Clinical features of Diffuse proliferative glomerulonephritis 
Acute diffuse proliferative glomerulonephritis presents with nephrotic syndrome -

Hematuria                                                                   
Oliguria                                                                         
Azotemia → Raised BUN and creatinine      
Mild to moderate hypertension 
RBC casts in urine 
Non-selective proteinuria  
Edema